'Second gas effect' is exerted by which of the following gas when co-administered with halothane:
1. Nitrous oxide
2. Cyclopropane
3. Nitrogen
4. Helium

Correct answer: 1. Nitrous oxide

Explanation: Concentration-effect, second gas effect and diffusion hypoxia are seen with inhalational agents used in high concentrations (like N2O).